All are adulterants of Heroin, except -
1. Chalk powder
2. Quinine
3. Charcoal
4. Fructose

Correct answer: 3. Charcoal

Explanation: Important adulterants in heroin are starch (fructose & sucrose), caffeine, quinine, Paracetamol, scopolamine (Hyoscine), Noscapine, Lidocaine, Procaine, Phenobarbitone, Theophylline, Strychnine, Chalk, Flour, Talcum powder, Powdered milk, Phenacetin.